Deficiency of which of the following is associated with hemolytic anemia in pre term babies?
1. Vitamin K
2. Vitamin C
3. Vitamin E
4. Vitamin D

Correct answer: 3. Vitamin E

Explanation: Vitamin E deficiency is associated with hemolytic anemia in pre term babies and also causes progressive neuropathy and paralysis of external ocular muscles. Vitamin D deficiency results in rickets. Also know Vitamin K and C deficiencies are associated with hemorrhagic diseases. Ref: Meharban Singh, Edition 3, Page 35.